True regarding course of great saphenous vein is all except
1. Begins at the saphenous opening
2. Runs along posteromedial aspect of knee joint
3. Associated with saphenous nerve in lower part of leg
4. Posterior arch vein is one of its tributaries

Correct answer: 1. Begins at the saphenous opening

Explanation: Great saphenous vein begins from medial part of dorsal venous arch of foot.